Which pox wont grow in egg, animal cells:
1. Cow pox
2. Vaccinia
3. Variola
4. Molluscum

Correct answer: 4. Molluscum

Explanation: Ans. d. Molluscum